Risk factors for the development of breast cancer include all of the following EXCEPT
1. Early menarche
2. Nulliparity
3. Late menopause
4. Longer lactation period

Correct answer: 4. Longer lactation period

Explanation: Increased exposure to estrogen is associated with an increased risk for developing breast cancer, whereas reducing exposure is thought to be protective. Correspondingly, factors that increase the number of menstrual cycles, such as early menarche, nulliparity, and late menopause, are associated with increased risk. Moderate levels of exercise and a longer lactation period, factors that decrease the total number of menstrual cycles, are protective.